Which of the following shows crescent shaped deposits under light microscope?
1. RPGN
2. Acute GN
3. Membranous GN
4. Membranoproliferative GN

Correct answer: 1. RPGN

Explanation: Rapidly progressive glomerulonephritis (RPGN) is also referred to as crescentic glomerulonephritis. Under light microscope, crescents of proliferating parietal cells in combination with invading monocytes and fibrin are seen in Bowman space. Three types: Type I RPGN: Linear pattern of immunofluorescence are seen due to causative IgG binding directly to glomerular basement membrane antigens. Type II RPGN: Immune complex mediated. Type III RPGN: Type III RPGN is referred to as pauci-immune (i.e., no immune complexes). ANCA is positive (e.g., Wegener granulomatosis) in up to 80% of cases. Ref: Wyatt C., Butterwoh IV J.F., Moos P.J., Mackey D.C., Brown T.G. (2008). Chapter 16. Pathology of the Kidney and Bladder. In C. Wyatt, J.F. Butterwoh IV, P.J. Moos, D.C. Mackey, T.G. Brown (Eds), Pathology: The Big Picture.